All are dimorphic fungi EXCEPT:
1. Penicillium marneffei
2. Sporothrix schenkii
3. Blastomycoses sermatidis
4. Curvularia

Correct answer: 4. Curvularia

Explanation: ANSWER: (D) CurvulariaREF: Ananthnarayan 8th Ed Page 157, 231, 588, 600, 603, Chakraborty 2nd edition page 211Repeat Microbiology December 2011, December 2010, 2008, 2007, 2000 (Different options)